Which of the following conditions cause transudative pleural effusion:
1. Cirrhosis of liver
2. Tuberculosis
3. Bronchogenic carcinoma
4. Rheumatoid arthritis

Correct answer: 1. Cirrhosis of liver